Most common type of lesion in Pott's spine:
1. Central
2. Anterior
3. Paradiscal
4. Appendiceal

Correct answer: 3. Paradiscal

Explanation: The most common type of lesion in Pott's spine is Paradiscal area. Because the paradiscal area (lower part of upper vertebrae, upper part of lower vertebrae and the in-between vertebral disc) arise from single mesodermal somite &has single supply of segmental artery through which tuberculosis spreads. Central (within the vertebrae), anterior type (towards the anterior part of vertebrae) and appendiceal (posterior part of vertebrae) are rare.